Transplantation of which one of the following organs is most often associated with hyper acute rejection?
1. Heart
2. Kidney
3. Lungs
4. Liver

Correct answer: 2. Kidney

Explanation: Ans. (b) KidneyRef: Bailey 26th edition, Page 1409* Hyperacute rejection is most common in Kidney* Hyperacute rejection is very rare in liver